True about Kartagener's syndrome -a)  Dextrocardiab)  Infertilityc)  Intellectual disabilityd)  Bronchiectasis
1. acd
2. abd
3. abc
4. ab

Correct answer: 2. abd

Explanation: Dextrocardia occurs due to situs invertus.